Coracohumeral ligament is the degenerated part of ?
1. Biceps brachii
2. Coracobrochialis
3. Pectoralis minor
4. Latissimus dorsi

Correct answer: 3. Pectoralis minor

Explanation: Ans. is'c'i.e., Pectoralis minorlRef: Clinical anatomy p. 101)Coracohumeral ligament extends from lateral margin of root of coracoid process to greater tuberosity of humerus.Morphologically degenerated part of the pectoralis minor.